Potato nodes are a characteristic feature of ?
1. Sarcoidosis
2. Lymphoma
3. Carcinoid
4. Tuberculosis

Correct answer: 1. Sarcoidosis

Explanation: Ans. is 'a' i.e., Sarcoidosis